Kalli, 35yrs old female presents with Bilateral deep vein thrombosis in legs. There is past history of recurrent foetal loss and one attack of pulmonary embolism. Screening tests of coagulation reveal a prolonged aPTT. Likely diagnosis is:
1. Factor VIII deficiency
2. Inherited Protein C and S deficiency
3. Anti phospholipid syndrome
4. Hereditary excess of Anti thrombin III

Correct answer: 3. Anti phospholipid syndrome

Explanation: A female with history of deep vein thrombosis in legs, recurrent foetal loss and one attack of pulmonary embolism with prolonged aPTT highlights the diagnosis of a hypercoagulable state which is anti phospholipid syndrome. Ref: Hughes Syndrome: Antiphospholipid Syndrome By Munther A. Khamashta, 2006 ; Textbook of Obstetrics By Dutta, 6th Edition, Page 343 ; Williams Obstetrics, 21st Edition, Page 1390